In a 12-month-old child with Diarrhea, the dose of zinc is:
1. 1 mg/day for 10-14 days
2. 10 mg/day for 10-14 days
3. 15 mg/day for 10-14 days
4. 20 mg/day for 10-14 days

Correct answer: 4. 20 mg/day for 10-14 days

Explanation: Dose of Zinc for children older than 6 months with diarrhea is 20 mg/day for 10-14 days.